Circulatory collapse occurs after what percent of burns of total body surface area:
1. 5%
2. 1%
3. 10%
4. 15%

Correct answer: 4. 15%

Explanation: (D) 15% # Burns involving 15% of total body surface area in adults and 10% in children may result in shock (circulatory collapse).> The severity of a burn depends on its size, depth and location. The extent of tissue damage is directly related to the temperature of the burn agent and the length of time it is in contact with the skin.> The most severe bums are located on the face, neck, hands, feet and genitals; when they are spread over large parts of the body; or when they are combined with other injuries